Drugs that carry definitive risk of clinical hemolysis in patients with G 6 PD deficiency are all except?
1. Primaquine
2. Chloroquine
3. Dapsone
4. Nalidixic acid

Correct answer: 2. Chloroquine

Explanation: Ans. is 'b' i.e., Chloroquine